Root of mesentery is crossed by -
1. Horizontal part of duodenum
2. Left gonadal vessels
3. Left ureter
4. Superior mesenteric artery

Correct answer: 1. Horizontal part of duodenum